Dyskeratosis is characteristic feature of ?
1. Darier's disease
2. Pemphigus vulgaris
3. Psoriasis
4. Tinea capitis

Correct answer: 1. Darier's disease

Explanation: Dyskeratosis - Premature or abnormal keratinization Seen in -1. Malignant condition : Squamous cell carcinoma2. Premalignant : Bowen's disease3. Benign conditions :a. Darier's diseaseb. Hailey-hailey disease